Transverse ridge is prominent on occlusal surface of which of the following deciduous teeth?
1. Mandibular first molar
2. Maxillary first molar
3. Mandibular second molar
4. Maxillary second molar

Correct answer: 1. Mandibular first molar